All the following are used in the treatment of Pneumocystis carinii except:
1. Pentamidine
2. Dapsone
3. Cotrimoxazole
4. Fluoroquinolones

Correct answer: 4. Fluoroquinolones

Explanation: Answer is D (Fluoroquinolones): Fluoroquinolones are not used in the treatment (. P. carinii infection. Drugs used for treatment of Pneumocystis carinii infection include: Agent Disease First choice drug Second choice Third choice Pneumocystis carinii Mild to moderate pneumonia Trimethoprim Sulfamethoxazole Trimethoprim -- Dapsone Clindamycin -- Primaquine Atovaquone Sever pneumonia Trimethoprim Sulfamethoxazole Pentamidene Clindamycin-Primaquine Trimetroxate Drug of choice for all forms of pneumocystosis: Trimethoprim-Sulfamethoxazole (Cotrimoxazole)